A 10-yrs-old girl with type I diabetes develops a neuropathy limited to sensory neurons with free nerve endings. Quantitative sensory testing will reveal higher-than-normal thresholds for the detection of which of the following?
1. Fine touch
2. Vibration
3. Pressure
4. Temperature

Correct answer: 4. Temperature

Explanation: Free nerve endings contain receptors for temperature, pain, and crude touch. However, fine touch, pressure, and vibration are detected by nerve .endings contained within specialized capsules that transmit the stimulus to the sensory receptors. Muscle length is encoded by the primary' nerve endings of Ia fibers, which are located on intrafusal fibers within the muscle spindle.